In children, hypothyroidism causes
1. Acromegaly
2. Cretinism
3. Gigantism
4. Myxoedema

Correct answer: 2. Cretinism

Explanation: Cretinism
Cretinism is caused by extreme hypothyroidism during fetal life, infancy, or childhood. This condition is characterized especially by failure of body growth and by intellectual disability. It results from congenital lack of a thyroid gland (congenital cretinism), from failure of the thyroid gland to produce thyroid hormone because of a genetic defect of the gland, or from a lack of iodine in the diet (endemic cretinism).
A neonate without a thyroid gland may have a normal appearance and function because it was supplied with some (but usually not enough) thyroid hormone by the mother while in utero. A few weeks after birth, however, the  neonate’s movements become sluggish and both physical and mental growth begin to be greatly retarded. Treatment of the neonate with cretinism at any time with adequate iodine or thyroxine usually causes normal return of physical growth, but unless the cretinism is treated within a few weeks after birth, mental growth remains permanently retarded. This state results from retardation of the growth, branching, and myelination of the neuronal cells of the central nervous system at this critical time in the normal development of the mental powers.
Skeletal growth in a child with cretinism is characteristically more inhibited than is soft tissue growth. As a result of this disproportionate rate of growth, the soft tissues are likely to enlarge excessively, giving the child with cretinism an obese, stocky, and short appearance. Occasionally the tongue becomes so large in relation to the skeletal growth that it  obstructs swallowing and breathing, inducing a characteristic guttural breathing that sometimes chokes the child.
Reference: GUYTON AND HALL TEXTBOOK OF MEDICAL PHYSIOLOGY, THIRTEENTH EDITION(INTERNATIONAL EDITION ) page no 963